D cells of pancreas secrete:
1. Glucagon
2. Insulin
3. Somatostatin
4. Pancreatic polypeptide

Correct answer: 3. Somatostatin

Explanation: Ans. C i.e. SomatostatinPancreasIt is a dual-function gland, having features of both endocrine and exocrine glands.The part of the pancreas with endocrine function is made up of approximately a million cell clusters called islets of Langerhans.Four main cell types exist in the islets. They can be classified by their secretion:- Alpha cells secrete glucagon (increase glucose in blood),- Beta cells secrete insulin (decrease glucose in blood),Delta cells secrete somatostatin (regulates/stops alpha and beta cells) and- PP cells, or gamma cells, secrete pancreatic polypeptide